Which of the following causes mesenteric lymphadenitis?
1. Adenovirus
2. Campylobacter
3. Yersinia pseudotuberculosis
4. All of the above

Correct answer: 4. All of the above

Explanation: d. All of the above(Ref: Nelson 20/e p 1405-6, 1611)Acute appendicitis, mesenteric lymphadenitis & ileocolitis have been reported in patients who have had appendectomies during C. jejuni infection.Yersinia pseudotuberculosis is most often associated with mesenteric lymphadenitis.Human Adenovirus may also cause mesenteric adenitis.